The rests of malassez in the periodontal ligament are derived from
1. Dental pulp
2. Lamina propria
3. Odontogenic epithelium
4. Vestibular Lamina

Correct answer: 3. Odontogenic epithelium